True about cleft lip:
1. Occurs d/t defect in fusion of frontal & nasal process
2. Only bilateral cases are associated with cleft palate
3. Repaired in neonatal period
4. Unilateral cases are more common in left side

Correct answer: 4. Unilateral cases are more common in left side

Explanation: Answer- D. Unilateral cases are more common in left sideA midline cleft lip is present when there is failure of fusion between Medial nasal processes.Left side unilateral cleft is common.Commonest type of cleft lip is Combined with cleft palate.Clefting of the lip and/or palate is felt to occur around the eighth week of embryogenesis, either by failure of fusion of the medial nasal process and the maxillary prominence or by failure of mesodermal migration and penetration between the epithelial bilayer of the face.Repair-Rule of tens: For increased anesthetic safety, an infant shouldBe 10 weeks old.Weigh 10 pounds.Have a hemoglobin level of at least 10 mg/dL